A pt of BPD on lithilhium for 6months after fasting for a day presents with seizure coarse tremors confusion and weakness of limbs Whats the most accurate to diagnosis her condition
1. Serum Electrolyte
2. s.Lithium
3. S .creatinine
4. ECG

Correct answer: 2. s.Lithium

Explanation: ref : harissons 21st ed